Minimum thickness of calcium hydroxide required to protect near or actual pulp exposure is?
1. 2-3 mm
2. 0.5-1mm
3. 3-4mm
4. 5mm

Correct answer: 2. 0.5-1mm